School water fluoridation is considered as the primary preventive service provided by the
1. Community
2. Individual
3. Dental professional
4. None of the above

Correct answer: 1. Community